SI unit of dose of radiation absorption –
1. Rad
2. REM
3. Gray
4. Curie

Correct answer: 3. Gray

Explanation: The old unit of radiation absorption is rad and new (SI) unit is gray.